MC duct stones involved is in
1. Submandibular gland
2. Sublingual salivary gland
3. Parotid gland
4. Minor salivary gland

Correct answer: 1. Submandibular gland